All the following factors stimulate Growth hormone secretion except
1. Deep sleep
2. Increased blood amino acids
3. Exercise
4. Increased blood glucose

Correct answer: 4. Increased blood glucose

Explanation: Factors That Stimulate or Inhibit Secretion of Growth HormoneStimulate Growth HormoneSecretionInhibit Growth HormoneSecretionDecreased blood glucoseIncreased blood glucoseDecreased blood free fattyacidsIncreased blood free fattyacidsIncreased blood aminoacids (arginine)AgingStarvation or fasting,protein deficiencyObesityTrauma, stress, excitement, ExerciseGrowth hormone(exogenous)Testosterone, estrogenSomatomedins (insulin-likegrowth factors)Deep sleep (stages II and IV)Growth hormone inhibitoryhormone (somatostatin)Growth hormone-releasinghormoneIncreased blood glucoseGhrelinIncreased blood free fattyacidsRef: Guyton; 13th edition; Chapter 76; Pituitary Hormones and Their Control by the Hypothalamus